NRHM (National Rural Health Mission) is achieved through creation of
1. Community health worker
2. Village health guide
3. Accredited social health activist
4. Community health assistants

Correct answer: 3. Accredited social health activist

Explanation: C. i.e. (Accredited social health activist) (364- 365 - Park 19th)* NATIONAL RURAL HEALTH MISSION (NRHM) - launched on 5th april 2005for a period of 7 years (2005-2012) The mission seeks to improve rural health care delivery system.Plan of action to strengthen infrastructure1. Creation of a cadre of Accredited social health activist (ASHA)**2. Strengthenng sub centres, PHC, CHCASHA1. Must be the resident of the village - women (25- 45 years) with formal education upto eighth class2. One ASHA for 1000 population3. The target is to select and train at least 40% of ASHA in the first year* Under the RCH programme a community health centre should be equipped to function as a first Referral Unit (FRU)**